Which of the following characterizes Atkins diet?
1. Severly reduced fat content
2. Severly reduced carbohydrate content
3. Severly reduced protein content
4. Reduced mineral content

Correct answer: 2. Severly reduced carbohydrate content

Explanation: Recent data suggests that very low carbohydrate "Atkins" style diets are more effective for short-term weight loss when compared with standard caloric restriction. However, these diets have not been shown to be effective in maintaining weight loss.